Metachromatic granules are stained by?
1. Ponder's stain
2. Negative stain
3. Gram's stain
4. Leishman stain

Correct answer: 1. Ponder's stain

Explanation: Ans. is 'a' i.e., Ponder's stain